The most common malignancy in renal transplant recipient is:
1. Skin cancer
2. Renal cell carcinoma
3. Non-Hodgkin's lymphoma
4. Hodgkin's lymphoma

Correct answer: 1. Skin cancer

Explanation: Ans. (a) Skin cancerRef: Bailey 26th edition, Pages 1415-1416Side effects of immunosuppressive therapy after kidney transplant:* Most common opportunistic infection- Viral* Most common viral Infection- CMV* Most common time for Infection- 1st 6 months* Most common cancer to occur on immunosuppression - Skin cancer* PTLD - Post transplant Lympho proliferative disorder can also occur after transplant.